The auricle develops from:
1. 1st branchial cleft
2. 1st branchial arch
3. 1st, 2nd and 3rd branchial arch
4. 1st and 2nd branchial arch

Correct answer: 4. 1st and 2nd branchial arch

Explanation: Ans. (d) 1st and 2nd branchial archRef: P.L. Dhingra 6th ed. /11* The auricle develops from fusion of mesenchyme of 1st and 2nd branchial arch.* External ear canal develops from the ectoderm of 1st branchial cleft.* Tympanic membrane is derived from all the three germ layers contributed by 1st pharyngeal/ branchial arch.